derelation & depersonalisation seen in which type of disorder -
1. Dissociative disorder
2. Personality disorders
3. Mania
4. None

Correct answer: 1. Dissociative disorder